Which of the following breast lesions are noninvasive malignancies?
1. Intraductal carcinoma of the comedo type
2. Tubular carcinoma and mucinous carcinoma
3. Infiltrating ductal carcinoma and lobular carcinoma
4. Medullary carcinoma, including atypical medullary lesions

Correct answer: 1. Intraductal carcinoma of the comedo type

Explanation: Intraductal carcinoma refers to a malignancy of ductal origin that remains enclosed within duct structures. This noninvasive proliferation can undergo central necrosis, which frequently calcifies to form the microcalcifications seen on mammography Tubular, mucinous, and medullary carcinomas are histologic variants of infiltrating ductal cancer and are all invasive malignancies. Infiltrating lobular cancer is a particular histologic variant of invasive breast cancer characterized by permeation of the stroma with small cells that resemble those found in the breast lobule or acinus.